A 55 year old man who has been on bed rest for the past 10 days, complain of breathlessness and chest pain. The chest x-ray is normal. The next step in investigation should be:
1. Lung ventilation - perfusion scan
2. Pulmonary arteriography
3. Pulmonary venous wedge angiography
4. Echocardiography

Correct answer: 1. Lung ventilation - perfusion scan

Explanation: A i.e. Lung Ventilation Perfusion Scan The h/O breathlessness & chest pain after 10 days of bed rest points towards diagnosis of Pulmonary thromboembolism. So for diagnosing PTE the Vt screening investigation is Ventilation perfusion scanQ and the best/gold standard investigation is Pulmonary angiographyQ